Suspected cause preceding the observed effect is an example for -
1. Temporal association
2. Consistency of association
3. Strength of association
4. Coherence of association

Correct answer: 1. Temporal association

Explanation: Temporal association centers around the question: does the suspected cause precede the observed effect? Ref: 25th edition, Park's Textbook of Preventive and Social Medicine, Page no. 97